Luschka's tonsil also know as
1. Adenoids
2. Palatine Tonsil
3. Lingual Tonsil
4. Gerlach's  Tonsil

Correct answer: 1. Adenoids

Explanation: Lushka's Tonsil - Adenoids.
Gerlach's Tonsil  - Tubal Tonsil.
Faucial Tonsil - palatine  Tonsil.